Appropriate material for antenatal diagnosis of I genetic disorders includes all of the following except:
1. Fetal blood
2. Amniotic fluid
3. Chorionic villi
4. Maternal urine

Correct answer: 4. Maternal urine

Explanation: Maternal urine for prenatal diagnosis--an analysis of cell-free fetal DNA in maternal urine and plasma in the third trimester.